Which of the following statements about platelet function defects is true? -
1. Normal platelet count with prolonged bleeding time
2. Thrombocytopenia with prolonged bleeding time
3. Thromobocytosis with prolonged bleeding time
4. Normal platelet count with normal bleeding time

Correct answer: 1. Normal platelet count with prolonged bleeding time

Explanation: Answer is option 1, normal cell count with increased bleeding time A disorder of platelet function is suspected on the basis of the history and physical examination and is confirmed by the finding of a prolonged bleeding time in the presence of an adequate number of platelets. A specific diagnosis often requires measurements of the factor VIII and von Willebrand factor complex and other tests of platelet function. Some of these tests may be available only in specialized laboratories. Ref Robbins 9/e pg 430